Which is a part of limbic system:
1. Corpus callosum
2. Pineal gland
3. Cingulate gyrus
4. Tegmentum

Correct answer: 3. Cingulate gyrus

Explanation: Ans. C Cingulate gyrusRef: Netter's Correlative Imaging of Neuroanatomy, pg. 147The limbic system is composed of following contents:* Cingulate gyrus* Hippocampus* Fornix* Mammillary bodiesThe limbic system manages the emotional behaviour, sexual behaviour and food habits.